Not included in Infant mortality rate:
1. Perinatal mortality
2. Early neonatal
3. Late neonatal mortality
4. Post neonatal mortality

Correct answer: 1. Perinatal mortality

Explanation: Ans: A i.e. Perinatal mortality Infant mortality rate/IMR is defined as "the ratio of infant deaths (birth to 1 year of age) registered in a given year to the total number of live births registered in the same year; usually expressed as a rate per 1000 live births" Numerators in 'natal' death Perinatal death includes late foetal deaths (28 weeks of gestation and more) + early neonatal deaths (1st week) Early neonatal death occurs between births to first 7 days of life Late neonatal death occurs between 7th days of life till 28th day of life Post-neonatal deaths occurs between 28th day of life till 1 year